In emergency tracheostomy all structures are damaged except:
1. Isthmus of thyroid
2. Inferior thyroid artery
3. Thyroid ima
4. Inferior thyroid vein

Correct answer: 2. Inferior thyroid artery

Explanation: Emergency tracheostomy can damage midline structures such as : thyroid isthmus, thyroid ima artery and inferior thyroid vein. Whereas, inferior thyroid artery lies laterally away from midline and so escapes injury.